In a neonate with "classic" symptoms of congenital cytomegalovirus (CMV) infection, which one of the following tests would be most useful in establishing a diagnosis?
1. CMV IgG titre on neonate's serum at birth
2. CMV IgG titre on mother's serum at birth of infant
3. CMV IgM titre on neonate's serum at birth and at 1 month of age
4. Total IgM on neonate's serum at birth

Correct answer: 3. CMV IgM titre on neonate's serum at birth and at 1 month of age

Explanation: CMV IgM titre on neonate's serum at birth and at 1 month of age is useful in establishing a diagnosis in a neonate. The results should indicate a rise in IgM titre. Cytomegalovirus (CMV) is the most common cause of congenital and perinatal viral infections. Measurement of total IgM in the infant's sera at birth is nonspecific and may show false-negative and false-positive reactions.